Venous return to heart during quiet standing is facilitated by all of the following factors, except:
1. Calf muscle contraction during standing
2. Valves in perforators
3. Sleeves of deep fascia
4. Gravitational increase in arterial pressure

Correct answer: 4. Gravitational increase in arterial pressure

Explanation: Gravitational increase in arterial pressure decrease the venous return. Ref: Srb's Manual of Surgery By Sriram Bhat, Page 188.